The gold standard method for detection of renal scarring in patient with recurrent urinary tract infection is:
1. 99 Tc- DMSA scan
2. 99 Tc-DTPA scan
3. 99Tc-MIBG Scan
4. 99Tc-MDP scan

Correct answer: 1. 99 Tc- DMSA scan

Explanation: A i.e. 99 Tc- DMSA scan